After contrast media infection in the Radiology department, a patient develops severe hypotension, hronchospasm and cyanosis. Which one of the following drugs should be used for treatment?
1. Atropine
2. Aminophylline
3. Dopamine
4. Adrenaline

Correct answer: 4. Adrenaline

Explanation: Ans. Adrenaline